Tributaries of cavernous sinus are all except
1. Inferior cerebral vein
2. Central vein of retina
3. Sphenoparietal sinus
4. Superior cerebral vein

Correct answer: 4. Superior cerebral vein

Explanation: TRIBUTARIES OF CAVERNOUS SINUS; From orbit- Superior ophthalmic vein Inferior ophthalmic vein Central vein of retina From brain- Superficial middle cerebral vein Inferior cerebral vein From meninges- Sphenoparietal sinus Frontal trunk of middle meningeal vein Ref BDC volume3,sixth edition pg 194